Moment : Force Ratio for bodily movement of tooth is?
1. 6
2. 10
3. 14
4. Zero

Correct answer: 2. 10